Pulmonary artery pressure is
1. 120/80 mm Hg
2. 25/0 mm Hg
3. 25/8 mm Hg
4. 120/0 mm Hg

Correct answer: 3. 25/8 mm Hg

Explanation: The pressure gradient in the pulmonary system is about 7 mmHg, compared with a gradient of about 90 mmHg in the systemic circulation. Pulmonary capillary pressure is about 10 mmHg, whereas the oncotic pressure is 25 mmHg so that an inwardly directed pressure gradient of about 15 mmHg keeps the alveoli free of all but a thin film of fluid. When the pulmonary capillary pressure is more than 25 mm Hg--as it may be, for example, in "backward failure" of the left ventricle--pulmonary congestion and edema result.Ref: Ganong review of medical physiology 23rd edition Page no: 602